Which is not a precipitating factor of hepatic encephalopathy in a chronic liver disease?
1. TIPS
2. High dietary protein load
3. Hyperkalemia
4. Infection

Correct answer: 3. Hyperkalemia

Explanation: HEPATIC ENCEPHALOPATHYPortosystemic encephalopathy is a serious complication of chronic liver disease and is broadly defined as an alteration in mental status and cognitive function occurring in the presence of liver failure.In patients with cirrhosis, encephalopathy is often found as a result of certain precipitating events such as hypokalemia, infection, anincreased dietary protein load, or electrolyte disturbances.TIPS is often associated with an increased frequency of hepatic encephalopathy and must be considered carefully on a case-by-case basis.Ref: Harrison; 19th edition; Page no: 2066